All are true regarding fetal RBC's Except -
1. Elevated 2,3 DPG
2. Decreased carbonic anhydrase activity
3. Decreased life span
4. High RBC volume

Correct answer: 1. Elevated 2,3 DPG